Which is not a cause for burst abdomen:
1. Abdominal operation lasting more than two hours
2. Incomplete suture
3. Infection
4. Poor general condition of patient

Correct answer: 1. Abdominal operation lasting more than two hours

Explanation: Ans. A: Abdominal operation lasting more than two hours Causes of burst abdomen include (1) poor closure technique, (2) deep wound infection, 3) coughing or vomiting and 4) poor metabolic state of the patient Burst abdomen/ abdominal dehiscence: A serosanguinous/ pink discharge from the wound is a forerunner of disruption Patient often volunteer the information that they felt something give way Signifies that intraperitoneal contents are lying extraperitoneally